Which of the following is not seen in congenital syphilis:-
1. Higoumenaki sign
2. Hutchinson teeth
3. Genital ulcers
4. Periostitis

Correct answer: 3. Genital ulcers

Explanation: Congenital syphilis if develops: <2yrs - Early >2 yrs - Late Asymptomatic Hutchinson's Triad (Deafness + Interstitial keratitis + Hutchinson's teeth) Nasal stuffiness (rhinitis) k/a snuffles' as nasal stuffiness is known as snuffles in early congenital syphilis Periostitis U/L enlargement of sternoclavicular portion of the clavicle (k/a Higoumenaki sign) Vesiculo bullous rashes Frontal bossing, anterior Bowing of legs Genital ulcer: In Primary Syphilis.